Pure opioid antagonist:
1. Naloxone
2. Buprenorphine
3. Pentazocine
4. Morphine

Correct answer: 1. Naloxone

Explanation: Ans. A. NaloxoneNaloxone, naltrexone and nalmefene are potent mu receptor antagonist with significant blocking action on kappa and delta. Naloxone is short acting and naltrexone is long acting. Naloxone is drug of choice for acute opioid poisoning. Naltrexone is used for maintenance therapy for opioid poisoning.